Which of the following is the most common swelling of eyelids?
1. Chalazion
2. Neurofibromatosis
3. Rodent ulcer
4. Dermoid cyst

Correct answer: 1. Chalazion

Explanation: These are the most common lid swellings. A meibomian cyst is a chronic granulomatous inﬂammation  of a meibomian gland. It may occur on either upper or lower lids and presents as a smooth, painless  swelling. It can be felt by rolling the cyst on the tarsal plate.
Key Concept:
Meibomian cyst: They are epidermal cysts found on the free  edge  of  eyelid.  
Chronic Meibomian cyst is called chalazion.